Which of the following is a metabolite of prodrug Carisoprodol
1. Amphetamine
2. Meprobamate
3. Doxylamine
4. Dimethadione

Correct answer: 2. Meprobamate

Explanation: Meprobamate [Ref. Katzung 10th/e p. 439, Goodman & Gilman 10th/e p. 4221 "Carisoprodol a skeletal relaxant whose active metabolite meprobamate has abuse potential and has become popular street drug". Carisoprodol -Centrally acting muscle relaxant that does not directly relax tense skeletal muscles in man. - The mode of action of carisoprodol in relieving the acute muscle spasm of local origin has not been clearly identified. - In animals carisoprodol has been shown to produce muscle relaxation by blocking interneuronal activities and depressing transmission of polysynaptic neurons in the spinal cord and is the descending reticular formation of brain. - Carisoprodol is metabolized in the liver and is excreted by kidneys. - One of the product of metabolism meprobamate is active as an anxiolytic. - Carisoprodol - is dialyzable by peritoneal and hemodialysis.